A patient with sinus infection develops chemosis ,B/L proptosis and fever, the diagnosis goes in favour of-
1. Lateral sinus thrombosis
2. Frontal lobe abscess
3. Cavernous sinus thrombosis
4. Meningtitis

Correct answer: 3. Cavernous sinus thrombosis

Explanation: Angular vein which begins from medial angle of eye, continues as the facial vein. The facial vein communicates with the cavernous sinus through the deep facial vein and pterygoid plexus of veins.
B/L proptosis, fever and chemosis point towards cavernous sinus thrombosis.